Endometrial Ca with poor prognosis:
1. Adeno grade 2
2. Adenosquamous
3. Adenoacanthoma
4. Clear cell

Correct answer: 4. Clear cell

Explanation: Ref: Novak's Gynecology. 14'h ed. Pg 1359. Explanation:The following cases have poor prognosis in endometrial cancer and require pelvic and paraaortic lymph node dissection during surgery.Tumor histology clear cell, serous, squamous, or grade 2-3 endometrioidMyometrial invasion >ViIsthmus-cervix extensionTumor size >2 cmExtrauterine disease